All of the followings are responsible for Right shifting of O2 saturation curve; except:
1. Hypoxia
2. Hypocapnia
3. Increase temp
4. Increased 2,3 DPG

Correct answer: 2. Hypocapnia

Explanation: Ans. b. HypocapniaThe factors shift the curve to the right:Increased CO2 (Bohr effect)Increased hydrogen ion (decrease pH)Increased temperatureIncreased 2,3-bisphosphoglycerate (2,3-BPG)Shifts in Hb-O2 dissociation curveStored blood loses 2, 3-bisphosphoglycerate, causing a left shift in the curve, while hypoxia stimulates the production of 2,3-bisphosphoglycerate, thereby causing a right shift.Extra MileRight shiftAcidCO2 Exercise2, 3-BPGAltitudeTemperatureMnemonics: ACE BATs right handed